All are seen in Henoch schonlein purpura except -
1. Thrombocytopenia
2. Glomerulonephritis
3. Arthralgia
4. Abdominal pain

Correct answer: 1. Thrombocytopenia

Explanation: Ans. is 'a' i.e., Thrombocytopenia Clinical manifestations of H.S. Purpura Constitutional symptoms --> Fever, fatigue, malaise, Anorexia, weight loss Skin The hallmark of this disease is rash begining as pinkish maculopapules that initially blanch on pressure and progress to petechiae or purpura which are characterized by clinically as palpable purpura. o Purpura usually occurs on dependent areas of the body such as buttocks. Joints o Arthralgia or arthritis of large joints that involves primarily the joint of lower exterimities, i.e. knee & ankle. Migratory pattern of joint involvement occurs. Gastrointestinal tract o Abdominal pain and GI bleeding Diarrhoea (with or without visible blood) or hematemesis. o Intussusception may occur. Kidney o Almost always appear after the development of skin manifestations. o The characteristic of kidney involvement is microscopic heamaturia due to glomerulonephritis. o Non-nephrotic range proteinura. o There is deposition of IgA in the mesangium. Others --> Rarely CNS and pulmonary involvement may occur.